Baroreceptor regulate the BP in the range of
1. 50-80 mmHg
2. 70-150 mmHg
3. 100-200 mgHg
4. At all BP levels

Correct answer: 2. 70-150 mmHg

Explanation: Baroreceptor mechanism is the most important mechanism for the short-term regulation of BP in the range of 70- 150 mmHgRef: Textbook of medical physiology by N Geetha, 3rd edition, page no. 200